Menkes Kinky hair syndrome is characterized by a congenital deficiency of
1. Serum ceruloplasmin
2. Serum copper
3. Ferochelatase
4. Copper binding ATPase

Correct answer: 4. Copper binding ATPase

Explanation: Menkes disease ("Kinky" or "steely" hair disease) is a disorder of copper metabolism due to mutations in the gene for a copper-binding P-type ATPase, i.e. ATP7A gene.